Which of following is derived from otic placode?
1. Mastoid
2. Tympanic antrum
3. Ear ossicles
4. Cochlea

Correct answer: 4. Cochlea

Explanation: Ans. is'd'i.e., CochleaRef: Langmann' 70th/e p. 92,403Otic placode form otic vesicle which in turn divides into :-Ventral component that gives rise to the saccule and cochlear duct.Dorsal component that forms the utricle, semicircular canals, and endolymphatic duct.